Me thod for waste disposal in small camps-
1. Burial
2. Tipping
3. Compositing
4. Manure pits

Correct answer: 1. Burial

Explanation: Burial is suited for small camps.(Ref PARK'S textbook of preventive and social medicine 21st edition page no.697)